Limb buds appear at week:
1. 6
2. 5
3. 3
4. 4

Correct answer: 4. 4

Explanation: Upper limb buds appear by the end of week 4 and about 2 days later lower limb buds appear (beginning of week 5).